GFR is increased when -
1. Plasma oncotic pressure is increased
2. Glomerular hydrostatic pressure is decreased
3. Tubular hydrostatic pressure is increased
4. increased renal blood blow

Correct answer: 4. increased renal blood blow

Explanation: D i.e., Increased renal blood flow